Floppy baby syndrome is caused by
1. Staphylococcus aureus
2. Staphylococcus epidermidis
3. Clostridium botulinum
4. Bacillus cereus

Correct answer: 3. Clostridium botulinum

Explanation: Infant botulism: This is a toxico-infection.Cl.botulinum spores are ingested in food, get established in the gut and there produce the toxin. Cases occur in infants below six months. Manifestations are constipation, poor feeding, lethargy, weakness, weak or altered cry, floppiness and loss of head control.Honey has been incriminated as a likely food item through which bacillus enters the gut.Ref: Ananthanarayan; 7th edition; Page no: 264